Anti-inflammatory action of steroids due to
1. Inhibiton of phospholipase A2
2. Inhibhition of cyclooxegenase
3. Increased activity of lipolipase
4. Inhibition of lipo oxegenase

Correct answer: 1. Inhibiton of phospholipase A2

Explanation: PLA2 has been shown to promote inflammation in mammals by catalyzing the first step of the arachidonic acid pathway by breaking down phospholipids, resulting in the formation of fatty acids including arachidonic acid. This arachidonic acid is then metabolized to form several inflammatory and thrombogenic molecules. Excess levels ofsPLA2 is thought to contribute to several inflammatory diseases.Ref: Ganong's review of medical physiology; 24th edition